"I am dead" is a form of
1. Nihilistic delusion
2. Somatic delusion
3. Delusion of Infidelity
4. Delusion of reference

Correct answer: 1. Nihilistic delusion

Explanation: (A) Nihilistic delusion # Delusion of control: This is a false belief that another person, group of people, or external force controls one's general thoughts, feelings, impulses, or behavior.> Nihilistic delusion: This is a false belief that one does not exist or has become deceased.> Delusional jealousy (or delusion of infidelity): A person with this delusion falsely believes that a person is lying to them or that a spouse or lover is having an affair, with no proof to back up their claim.> Delusion of guilt or sin (or delusion of self-accusation): This is a false feeling of remorse or guilt of delusional intensity.> Delusion of mind being read: The false belief that other people can know one's thoughts.> Delusion of reference: The person falsely believes that insignificant remarks, events, or objects in one's environment have personal meaning or significance.> Erotomania: A delusion where someone believes another person is in love with them.> Religious delusion: Any delusion with a religious or spiritual content. These may be combined with other delusions, such as grandiose delusions (the belief that the affected person is a god, or chosen to act as a god, for example).> Somatic delusion: A delusion whose content pertains to bodily functioning, bodily sensations, or physical appearance. Usually the false belief is that the body is somehow diseased, abnormal, or changed--for example, infested with parasites.> Delusions of parasitosis (DOP) or delusional parasitosis: a delusion in which one feels infested with an insect, bacteria, mite, spiders, lice, fleas, worms, or other organisms. Affected individuals may also report being repeatedly bitten. In some cases, entomologists are asked to investigate cases of mysterious bites. Sometimes physical manifestations may occur including skin lesions.> Delusion of poverty: The person strongly believes that he is financially incapacitated. Although this type of delusion is less common now, it was particularly widespread in the days before state support.